Which of the following is Iso-osmolar agent?
1. Ionic monomer
2. Ionic dimer
3. Non-ionic monomer
4. Non-ionic dimer

Correct answer: 4. Non-ionic dimer

Explanation: - Ionic Monomer - High osmolality contrast media - Ionic Dimer - Low osmolality contrast media - Non-ionic Monomer - Low osmolality contrast media - Non-ionic Dimer - Iso osmolality contrast media